The subtype of Hodgkin's disease, which is histogentically distinct from all the other subtypes,is
1. Lymphocyte predominant
2. Nodular sclerosis
3. Mixed cellularity
4. Lymphocyte depleted

Correct answer: 1. Lymphocyte predominant